The law of insanity and criminal responsibility is embodied in section
1. 83 IPC
2. 84 IPC
3. 85 IPC
4. 86 IPC

Correct answer: 2. 84 IPC

Explanation: B. i.e. (84 - IPC) (6.27 - Parikh 6th)* The law of insanity and criminal responsibility is embodied in section 84 IPC while section 85 and 86 deal with drunkenness and criminal responsibilityIMPORTANT - SECTIONS***Perjury (Giving false evidence)-191-IPC*Fabricating false evidence-192 IPC*Punishment for false evidence-193 IPC*Culpable homicide-299 IPC*Murder-302 IPC***Criminal negligence-304 - A IPC*** Dowry death-304 - B IPC*Abetment of suicide-306 IPC*Attempt to commit suicide-309 IPC***Grievous hurt (Kerala 08)-320 IPC*** Rape-375 IPC** Punishment of Rape-376 IPC* Issuing or signing a false certificate is punishable under section 197 IPC*** **Tests for criminal responsibility - Right or wrong, Durham's, Curren's